Provision of free medical care to the people at government expense is known as -
1. State medicine
2. Social theraphy
3. Social medicine
4. Preventive medicine

Correct answer: 1. State medicine

Explanation: Ans. is 'a' i.e., State medicine o State medicine Provision of free medical service to the people at government expense. o Socialized medicine Provision of medical service and professional education by the state as in state medicine, but the programme is operated and regulated by professional groups rather than by the government.